A 10 month old child weighing 8 kg has Bitot spots in both eyes. Which of the following is the most appropriate schedule to prescribe vitamin A to this child ?
1. 2 lakh units intramuscular (IM) on day 0, 14
2. 1 lakh units IM on day 0,14
3. 2 lakh units TM on day 0, 1 and 14
4. 1 lakh units IM on day 0, 1 and 14

Correct answer: 4. 1 lakh units IM on day 0, 1 and 14

Explanation: 1 lakh units IM on day 0, 1 and 14